The percentage of upper and lower first molars, where furcation entrance diameter is narrower than the width of conventional periodontal curette is
1. 28%
2. 58%
3. 82%
4. 85%

Correct answer: 2. 58%